Diabetic ischemic maculopathy is characterized by all except -
1. It occurs due to microvascular blockage
2. Mild visual loss
3. Areas of non perfusion are evident on fluorescein angiography
4. Microaneurysms and hemorrhages are seen

Correct answer: 2. Mild visual loss

Explanation: Diabetic ischaemic maculopathy is characterized by : Occurring due to microvascular blockages Areas of non perfusion is evident on flouroschein angiography Microaneurysms and haemorrhage are seen Ref AK khurana 6/e p 280